Which of the following anticoagulants is an oral direct Xa inhibitor?
1. Fondaparinux
2. Dabigatran
3. Rivaroxaban
4. Lepirudin

Correct answer: 3. Rivaroxaban

Explanation: Drugs ending with XABAN are Xa inhibitor. Rivero XABAN ApiXABAN Edo XABAN BefXABAN Dabigatran:- Direct Thrombin inhibitor Only oral agent in Class(DTI) Can reverse with Idarucizumab Fondaparinux :- LMWH which acts only on Factor Xa Lepirudin:- Direct Thrombin Inhibitor